Continuous contact lens wear may lead to
1. Giant papillary conjunctivitis
2. Anterior uveitis
3. Nuclear Cataract
4. Trachoma

Correct answer: 1. Giant papillary conjunctivitis

Explanation: Answer- A. Giant papillary conjunctivitisCorneal complications : - Corneal abrasion, Corneal edema, Corneal vascularization, Microbial keratitis (pseudomonas, acanthamoeba), Sterile corneal infiltrate.Giant papillary conjunctivitis